Which of the following is true about non specific interstitial pneumonia?
1. Common in elderly age group
2. Good prognosis
3. Early honeycombing
4. Males are affected more commonly then females

Correct answer: 2. Good prognosis

Explanation: Non specific interstitial pneumonia is usually presented at a younger age group,most commonly in women .HRCT shows bilateral,subpleural ground-glass opacities,often associated with lower lobe volume loss.Patchy areas of airspace consolidation and reticular abnormalities may be present,but honeycombing is unusual.The majority of patients with NSIP have a good prognosis(5 year mortality rate estimated at <15%),with most showing improvement after treatment with glucocorticoids,often used in combination with azathioprine. Reference:Harrison' s medicine-18th edition,page no:2166.